With respect to dating of a bone, a bone more than 100 years old contain:
1. 7 amino acids
2. 9 amino acids
3. 6 amino acids
4. 8 amino acids

Correct answer: 1. 7 amino acids

Explanation: Ans. 7 amino acids